Inert foreign body in the eye ?
1. Nickel
2. Copper
3. Iron
4. Silver

Correct answer: 4. Silver

Explanation: Ans. is 'd' i.e., Silver Local reaction of the ocular tissues to a foreign body varies with chemical nature of the foreign body. Glass, plastic and porcelain are inert. Stone may occasionally give rise to chemical changes, depending on its composition. Of the metals :- La Gold, silver, platinum and titanium are inert. u Lead, usually occuring as shot-gun pellets, becomes coated with the carbonate and excites little reaction. 1:1 Aluminium frequently becomes powdered and excites a local reaction; so does zinc; which may excites suppuration a reaction often associated with nickel and constantly with mercury. u Iron and copper, the two most common material found, undergo electrolytic dissociation and are widely deposited throughout the eye causing important degenerative changes.